Most common site of prostate carcinoma is -
1. Anterior zone
2. Peripheral zone
3. Central zone
4. Transitional zone

Correct answer: 2. Peripheral zone

Explanation: Ans. is 'b' i.e., Peripheral zone o Surgical Anatomy of Prostate# Prostate is divided into following 3 zones:o Peripheral zone which lies in the outer part of prostate but mainly posteriorly.o Central zone: tvhich lies posterior to the urethral lumen and above the ejaculatory ducts as they pass through the prostate.o Periurethral transitional zone (TZ)o Carcinoma arise most commonly from - Peripheral zoneo Benign prostatic hyperplasia arise from - Transitional zoneo As BHP arises from transitional zone and 'prostatectomy' done for BHP removes TZ leaving behind the PZ. The pt. is still at risk for prostatic carcinoma.